A 50-year-old male presented with fever and chills along with chest pain during cough. His sputum specimen was cultured on blood agar, showed the presence of a-hemolytic colonies the next day. The further processing of this organism is most likely to yield
1. Gram- negative coccobacilli, catalase positive and oxidase positive
2. Gram- positive cocci in clusters, catalase positive and coagulase positive
3. Gram- positive cocci in pairs, catalase negative and bile soluble
4. Gram- positive cocci in short chains, catalase negative and bile resistant

Correct answer: 3. Gram- positive cocci in pairs, catalase negative and bile soluble

Explanation: Growth of alpha-hemolytic colonies, which are isolated from the sputum of a patient, is suggestive of pneumococcal pneumonia. Pneumococci are gram-positive cocci in pairs, catalase negative, and bile soluble Reference: Ananthanarayan and Paniker's Textbook of Microbiology Tenth edition